Some of the babies of 3-5 days old are brought to OPD with different complaints. Which baby among them needs furthur investigation
1. Vaginal bleeding
2. Hymenal tags
3. Subconjunctival hemorrhage
4. Tachypnea and grunting

Correct answer: 4. Tachypnea and grunting

Explanation: Tachypnea and grunting are seen due to respiratory distress. Rest are normal conditions in newborn.
Vaginal bleeding:
It occurs due to fall in the level of sex harmones after birth when baby is disconnected from placenta.
Hymenal tags:
In female neonates seen.